Which of the following drugs is useful in the treatment of infection by Mycobacterium avium complex?
1. Isoniazid
2. Clarithromycin
3. Cycloserine
4. Rifampicin

Correct answer: 2. Clarithromycin

Explanation: Treatment of MAC infection is REC (Rifabutin + Ethambutol + Clarithromycin)
Clarithromycin alone can be used for the prophylaxis of MAC infections in HIV positive patients.
Azithromycin can also be used in place of clarithromycin.